Intention tremor is characteristic of :-
1. Parkinson’s disease
2. Fronto temporal Dementia
3. Progressive Supra Nuclear Palsy
4. Cerebellar lesions

Correct answer: 4. Cerebellar lesions

Explanation: Intention tremor is seen in cerebellar lesions and “pill-rolling” tremors at rest is typical of Parkinson’s disease.